Diffusion capacity of lung is increased by?
1. CHF
2. Pulmonary embolism
3. Chronic lung disease
4. Anemia

Correct answer: 1. CHF

Explanation: DLCO increased in mild CHF,alveolar hemorrhage,polycythemia,left to right shunts.